A young lady complains of sudden onset of palpitations, extreme weakness and sweating. On examination, she was found to have B.P. 90/70 with a regular pulse rate of 180/minute. Her symptoms disappeared after vomitting but she complained of polyuria. The most likely diagnosis is
1. Primary thyrotoxicosis
2. Acute anxiety state
3. Paroxysmal atrial tachycardia
4. Paroxysmal atrial flutter

Correct answer: 3. Paroxysmal atrial tachycardia